Chlorine demand of water determined by –
1. Horrock's apparatus
2. Chloronometre
3. Berkefield filter
4. Doble Pot

Correct answer: 1. Horrock's apparatus